What is the indication of using systemic steroids in a case of rheumatoid arthritis:
1. Carpal tunnel syndrome
2. Presence of deformities
3. Mononeuritis multiplex
4. Involvement of articular cartilage

Correct answer: 3. Mononeuritis multiplex

Explanation: Ans. C i.e. Mononeuritis multiplex